A 4-year old child has less number of teeth and lateral  incisors with bifurcated roots with two root canals is called:
1. Dilaceration
2. Concrescence
3. Fusion
4. Gemination

Correct answer: 3. Fusion